A 35-year-old woman has been taking acetylsalicylic acid (aspirin) for arthritis for several years. Her joint pain is reduced this therapy, though the joint destruction with loss of articular cartilage still continues. However, the aspirin therapy temporarily alleviates her pain. This pain reduction is primarily the result of diminishing the inflammatory response characterized by:
1. Neutrophil chemotaxis by leukotriene B4
2. Fever resulting from interleukin-1 release
3. Prostaglandin mediated vasodilation
4. Pain resulting from bradykinin generation

Correct answer: 3. Prostaglandin mediated vasodilation

Explanation: Prostaglandins are produced the cyclooxygenase pathway of arachidonic acid metabolism. Aspirin and nonsteroidal anti-inflammatory drugs block the synthesis of prostaglandins, which can produce pain. NSAID anti-inflammatory activity is mediated chiefly through inhibition of prostaglandin biosynthesis Ref: Furst D.E., Ulrich R.W., Prakash S. (2012). Chapter 36. Nonsteroidal Anti-Inflammatory Drugs, Disease-Modifying Antirheumatic Drugs, Nonopioid Analgesics, & Drugs Used in Gout.